The vaccine currently used against hepatitis B infection is
1. Killed pooled serum
2. Live attenuated
3. Recombinant
4. Synthetic vaccine

Correct answer: 3. Recombinant